Which of the following is/ are not STD-a) HAVb) HPV c) HIVd) Varicella zoster viruse) HTLV-I
1. ad
2. c
3. ac
4. ab

Correct answer: 1. ad